Auto matrix is a
1. Matrix system that automatically gets attached with retainer and the tooth
2. System where a single retainer can be used for all matrix bands
3. Retainer less matrix system designed for any tooth regardless of its circumference
4. Retainer less matrix system designed for any tooth with specific circumference

Correct answer: 3. Retainer less matrix system designed for any tooth regardless of its circumference